Omalizumab is a monoclonal antibody used for the treatment of:
1. Digitalis toxicity
2. bronchial asthma
3. Rheumatoid arthritis
4. Breast carcinoma

Correct answer: 2. bronchial asthma

Explanation: (Ref: KDT 6/e p226) Omalizumab is a monoclonal antibody against IgE. It is useful for the management of bronchial asthma.